Ram Prasad is admitted to Guru Teg Bahadur Hospital with respiratory infection for which antibiotic tobramycin is ordered. The clearance and vd of tobramycin in him are 160ml/min and 40L ,respectively.if you wish to give Ram Prasad and intravenous loading dose to achieve the therapeutic plasma concentration of 4mg/L rapidly, how much should be given
1. 0.1mg
2. 10mg
3. 115.2mg
4. 160mg

Correct answer: 4. 160mg

Explanation: Ref-Katzung 10/e p45 Loading dise= Vd xtarget Plasma concentration =40Lx4mg/L =160mg clearance plays no role in the determination of loading dose. it is given to confuse you